On contrast radiography which among the following is false
1. Ileum is featureless
2. Colon has haustrations
3. Jejunum is feathery
4. Distal part of duodenum has a cap

Correct answer: 4. Distal part of duodenum has a cap

Explanation: First part of the duodenum is visible as a triangular shadow on barium studies and is known as duodenal cap Small intestine contains mucosal folds known as plicae circulares that are visible on barium studies and help in the distinction between small intestine and colon. Colon instead can be identified by presence of haustrations. valvulae conniventes are more prominent in the jejunum giving the 'Feathery appearence' on barium and reduced distally giving a 'featureless' appearance of distal ileum. Ref: Gray's Anatomy 41st edition Pgno: 1124